The liver biopsy in acute hepatitis due to hepatitis B virus is likely to show all of the following histopathologic changes, EXCEPT:
1. Ballooning change of hepatocytes
2. Ground glass hepatocytes
3. Focal or spotty necrosis
4. Acidophil bodies

Correct answer: 2. Ground glass hepatocytes

Explanation: Ground glass cytoplasmic inclusions are seen within hepatocytes in case of chronic hepatitis B. These inclusions represent hepatitis B virus surface antigen. Ground glass hepatocytes are also found in conditions such as drug induced, Lafora disease, fibrinogen storage disease and type IV glycogenosis, but is most commonly caused by chronic HBV. The histopathological changes seen in hepatitis particularly HBV infection are: signs of hepatocellular injury, mononuclear inflammatory infiltrate, kupffer cell hyperplasia, cholestasis and regeneration. The characteristic histopathological changes includes ballooning degeneration, Councilman body or acidophil body, dropout necrosis, and bridging necrosis. Ballooning degeneration: In this hepatocytes appear swollen with granular cytoplasm which tends to condense around the nucleus. Councilman body: Cells show acidophilic degeneration with intensely eosinophilic cytoplasm and a small pyknotic nucleus which gets eventually extruded leaving behind necrotic acidophilic mass called Councilman bodies. Ref: Essential Pathology for Dental Students By Harsh Mohan page 368. Scheuer's Liver Biopsy Interpretation By Jay H. Lefkowitch.